Alpha-1 antitrypsin deficiency causes
1. Emphysema
2. Bronchitis
3. Bronchieactasis
4. Pneumonia alba

Correct answer: 1. Emphysema

Explanation: Ans. a (Emphysema) . (Ref. Robbins, 6th/709; Harrison medicine 17th ed. 1638)EMPHYSEMA TYPES:1.Centraacinar- Most common type- Most frequently associated with smoking- Most prominent in upper lobe and superior segment of lower lobe2.Panacinar- Alphal antitrypsin deficiency- Prediliction for lower lobe3.Centrilobular-Educational point:# In alphal anti-trypsin deficiency panacinar is common, while in chronic smokers centracinar in commoner.# Garden variety: smoking related to emphysema is usually mixed.